HDV is -0
1. SS-RNA virus
2. SS_DNA virus
3. DS-RNA virus
4. DS-DNA virus

Correct answer: 1. SS-RNA virus

Explanation: HDV is a spherical 36 nm particle with an outer coat composed of the hepatitis B ssurface antigen surrounding the circular single stranded RNA genome. REF:ANANTHANARAYAN AND PANIKER'S TEXTBOOK OF MICROBIOLOGY 9TH EDITION PAGE NO-549